Which of these digestive enzymes is NOT present in pancreatic juice?
1. Elastase
2. Colipase
3. Ribonuclease
4. Enteropeptidase

Correct answer: 4. Enteropeptidase

Explanation: Principal digestive enzymes